Miliaria is a disorder of –
1. Sebaceous glands
2. Apocrine glands
3. Eccrine glands
4. Holocrine glamb

Correct answer: 3. Eccrine glands

Explanation: Miliaria arises from obstruction of sweat gland ducts (ducts of eccrine sweat glands).